Nerve supply of larynx above the vocal cord is
1. Internal laryngeal nerve
2. Recurrent laryngeal nerve
3. Glossopharyngeal nerve
4. External laryngeal nerve

Correct answer: 1. Internal laryngeal nerve

Explanation: Motor nerves-Recurrent laryngeal nerve supplies all intrinsic muscles except cricothyroid,which is supplied by the external laryngeal nerve.Sensory nerves-The internal laryngeal nerve supplies the mucous membrane upto the level of vocal folds.The recurrent laryngeal nerve supplies it below the vocal folds. REF.BDC VOL.3,FIFTH EDITION.